Which is the most sensitive test for ureteric stone?
1. USG
2. Non contrast CT scan
3. Intravenous pyelogram
4. X- ray

Correct answer: 2. Non contrast CT scan

Explanation: Where available, a non-contrast helical CT scan with 5 millimeters (0.20 in) sections is the diagnostic modality of choice in the radiographic evaluation of suspected nephrolithiasis. All stones are detectable on CT scans except very rare stones composed of certain drug residues in the urine, such as from indinavir.